True about Cryptosporidium are all except
1. Spores are acid fast
2. Spores are chlorine resistant
3. Diagnostic form is sporulated Oocyst
4. Spores are larger than the other protozoa

Correct answer: 4. Spores are larger than the other protozoa

Explanation: Spores are 4-6 µm (small), Round.
Contains 4 sporozoites.